Type of inheritance in Wilson's disease?
1. Autosomal dominant
2. Autosomal recessive
3. X-linked dominant
4. X-linked recessive

Correct answer: 2. Autosomal recessive

Explanation: Ans. is 'b' i.e., Autosomal recessive Wilson's disease is an autosomal recessive disorder. Note Most of the metabolic disorders are autosomal recessive except :? Hunter syndrome, Fabry's disease, ocular,albinism, Lesch Nyhan syndrome X-linked recessive. Familial hypercholesterolemia, acute intermittent porphyria --> Autosomal dominant